A man, 35 yrs of age complains of poor near vision Distant vision is normal. Retinoscopy at 1 meter shows + 2 D spherical lens. He has:
1. Hypermetropia
2. Presbyopia
3. Myopia
4. Accomodation paralysis

Correct answer: 1. Hypermetropia

Explanation: A i.e. Hypermetropia * In hypermetropia, eyeball and cornea are small, anterior chamber is shallow fundus examination reveals pseudopapillitis & shot silk appearance. Degenerative retinoschisis is more common in hypermetropes. * In Myopia (i.e. poor distant vision Q) eyeball & cornea are large (patient squeezes eye to see distant things clearly Q) anterior chamber is deep. Fundus examination reveals myopic crescents, Foster fuch's spot and peripheral retinal (lattice & snail track) degenerationQ